Muller's muscle is found in
1. Pharynx
2. Middle ear
3. Eye lid
4. Tongue

Correct answer: 3. Eye lid

Explanation: Mullers muscle or involuntary part of levator palpebrae superioris is supplied by sympathetic fibres from the superior cervical ganglion. Paralysis of mullers muscle leads to partial ptosis. This is a part of horners syndrome. Ref BDC volume 3,Sixth edition pg 74